Nightmare is seen in
1. REM sleep
2. Stage II NREM sleep
3. Stage IV NREM sleep
4. Stage I NREM sleep

Correct answer: 1. REM sleep

Explanation: REM sleep events
-        Narcolepsy
-        Night mares
 
-        Nocturnal penile tumescence